A patient with traumatic paraplegia due to injury of the thoracic cord of 'T3 level' is observed to have blood pressure f 210/120. What should be the initial management?
1. Subcutaneous LMWH
2. Steroids
3. Nifedipine
4. Normal saline / Dextrose

Correct answer: 3. Nifedipine

Explanation: Traumatic paraplegia is caused by a lesion of the spinal cord which occurs after a trauma, e.g. vertebral fracture causing a puncture to the spinal cord. Any injury of the spinal cord may result in a condition known as autonomic dysreflexia (AD).. Autonomic dysreflexia can cause systolic blood pressure readings to increase by 20-40 mmHg. , this condition couples dangerously high blood pressure with decreased heart rates.nefidipine can be used for high blood preassures Ref Harrison20th edition pg 2378